Craniospinal irradiation is employed in the treatment of:
1. Oligodendroglioma
2. Pilocytic astrocytoma
3. Mixed oligoastrocytoma
4. Medulloblastoma

Correct answer: 4. Medulloblastoma

Explanation: Medulloblastoma